Ocular findings in AIDS are all except-
1. >50% of patients have cotton wool spots
2. Kaposi sarcoma of eyelids
3. Roth spots
4. Cotton wool spots harbours CMV

Correct answer: 4. Cotton wool spots harbours CMV

Explanation: *Cotton wool spots are just retinal nerve fibre layer infarct (they do not harbour any organism) Ocular findings in AIDS:- *Ocular manifestations of AIDS may be seen in up to 70-90% of patients. *Most common are cotton wool spots, CMV retinitis and conjunctival/ eyelid kaposi sarcoma. *50-70% of HIV- Infected patients develop HIV retinopathy which has following findings: 1) Cotton- wool spots 2) Intraretinal hemorrhage 3) Roth spots 4) Retinal microaneurysms. Ref: Yanoff & ducker 4th/e p.628